Clavipectoral fascia splits to enclose subclavius and pectoralis minor, and continues as ?
1. Axillary sheath
2. Costocoracoid ligament
3. Costoclavicular ligament
4. Suspensory ligament

Correct answer: 4. Suspensory ligament

Explanation: Clavipectoral fascia It is a strong sheet of fascia, situated deep to pectoralis major muscle and extends from the pectoralis minor to the clavicle. It splits in upper part to enlose subclavius and splits in lower part to enclose pectoralis minor. Below this it is continuous as suspensory ligament. Traced upward, it splits to enclose the subclavius, and its two layers are attached to clavicle, one in front and the other behind. The latter layer fuses with deep cervical fascia and axillary sheath. Medially, clavipectoral fascia blends with the fascia covering first two intercostal spaces and is attached to first rib medial to origin of subclavius. Laterally, it is very thick and dense, and is attached to coracoid process. The portion extending from first rib to coracoid process is called costocoracoid ligament.